The following are feature of primary hyperaldosteronism except:
1. Polyuria
2. Hypertension
3. Hypokalemia
4. Hyperkalemia

Correct answer: 4. Hyperkalemia

Explanation: Answer is D (Hyperkalemia): Primary hyperaldosteronism is associated with Hypokalemia and not Hyperkalemia